Kimmelstiel -Wilson lesions in kidney consists of-
1. Splitting of glomerular basement membrane
2. Nodular sclerosis of the glomeruli
3. Hyaline sclerosis
4. Hyperplastic arteriosclerosis

Correct answer: 2. Nodular sclerosis of the glomeruli